A severely incapacitating disturbance of mental and
emotional development that causes problem in learning,
communication, and relating to others is
1. Autism
2. Learning disability
3. Intellectual disability
4. Dyslexia

Correct answer: 1. Autism